Empowered action group is applicable for all states except -
1. Madhya Pradesh
2. Jharkhand
3. Rajasthan
4. Assam

Correct answer: 4. Assam

Explanation: Ans. is 'd' i.e., Assam The Empowered Action Group (EAG) set up to facilitate preparation of area-specific programmes in eight states, namely, Bihar, Jharkhand, MP, Chhatisgarh, Orissa, Rajasthan, UP and Uttarakhand, which have lagged behind in containing population growth to manageable levels.